Ectopic ureter opening is not located in -
1. Bulbar urethra
2. Prostatic urethra
3. Seminal vesicle
4. Bladder neck

Correct answer: 1. Bulbar urethra